Which of the following is least likely to cause interstitial nephritis on chronic use-
1. Methicillin
2. Cephalothin
3. Heparin
4. Ampicillin

Correct answer: 3. Heparin

Explanation: Ans. is 'c' i.e., Heparin Drug causing interstitial nephritis o Cephalosporine o Allopurinol o Phenindione o Thiazides o Rifampcin o Penicillins (esp. methicillin) o Ciprofloxacin o Sulphonamides o NSAIDS o Furosemide